A 6-year-old child presents with lesions on face, covered with honey colored crusts. Pruritus is present. The possible cause can be:
1. Impetigo
2. Herpes
3. Chickenpox
4. Molluscum contagiosum

Correct answer: 1. Impetigo

Explanation: Ans. a. ImpetigoNon bullous impetigo or impetigo contagiosa lesions have golden yellow, honey coloured crusting